Chain of lakes appearance on ERCP is seen in:
1. Choledocholithiasis
2. Chronic relapsing pancreatitis
3. Traumatic pancreatitis
4. Carcinoma head of pancreas

Correct answer: 2. Chronic relapsing pancreatitis

Explanation: Ans. Chronic relapsing pancreatitis